The dicrotic notch on the aortic pressure curve is caused by-
1. Closure of the pulmonary valve
2. Rapid filling of the left ventricle
3. Closure of the aortic valve
4. Contraction of the atria

Correct answer: 3. Closure of the aortic valve

Explanation: dichrotic notch is a small dip in the graph of aortic pressure throughout the cardiaccycle corresponding to the closure of aortic valve Ref Harrison 20th edition pg 1445